Battle sign indicates:
1. Basilar fracture
2. Sutural fracture
3. Orbital fracture
4. Depressed fracture

Correct answer: 1. Basilar fracture

Explanation: Ans. Basilar fracture